Pseudoporphyria can be induced by all except
1. Methotrexate
2. Nalidixic acid
3. Naproxen
4. Isotretinoin

Correct answer: 1. Methotrexate

Explanation: Pseudoporphyria is generally due to drugs or other agents which interact with sunlight to cause a phototoxic reaction in the skin. These include:Non-steroidal anti-inflammatory drugs e.g. naproxenAntibiotics - doxycycline, nalidixic acidDiuretics - chlorthalidone, bumetanide, furosemide (frusemide) and hydrochlorothiazide/triamtereneRetinoids - isotretinoin, etretinate, acitretinOral contraceptives(ref:Harrison's 18/e p414,415)